DIC in association with giant hemangiomas is seen in
1. Waterhouse-Friderichsen syndrome
2. Kasabach-Merritt syndrome
3. Hemolytic Uremic Syndrome
4. Type 2 von Willebrand disease

Correct answer: 2. Kasabach-Merritt syndrome

Explanation: An unusual form of DIC occurs in association with giant hemangiomas (Kasabach-Merritt syndrome), in which thrombi form within the neoplasm because of stasis and recurrent trauma to fragile blood vessels.Ref: Robbins and Cotran Pathologic Basis of Disease; 9th edition; Chapter 14; Red Blood Cell and Bleeding Disorders; Page no: 664